Which of the following is NOT seen in Paroxysmal Nocturnal Hemoglobinuria :
1. Thrombosis
2. Hemosiderinuria
3. Decreased LDH
4. Thrombocytopenia

Correct answer: 3. Decreased LDH

Explanation: Answer is C (Decreased LDH) Because of increased activation of complement and complement mediated destruction of RBC there occurs intravascular hemolysis and an elevated LDH is seen. Paroxysmal nocturnal haemoglobinuria may have thrombosis and thrombocytopenia both, as is depicted in the previous explanations.